True regarding Ca colon is -
1. Lesion on Lt. side of the colon presents with features of anemia
2. Mucinous Ca. has a good prognosis
3. Duke's A stage should receive adjuvant chemotherapy
4. Solitary liver metastasis is not a C/I for surgery

Correct answer: 4. Solitary liver metastasis is not a C/I for surgery